All are feature of Autistic disorder EXCEPT:
1. 75% mentally retarded
2. Usually appears by 2-3 years of age
3. Absent social smile
4. Third person hallucination

Correct answer: 4. Third person hallucination

Explanation: Ans. D i.e. Third person hallucination Autism Difficulty in concentration and communication, Lesion in frontal and temporal lobe and cerebellum, Delayed speech and language development, Problems in forming social relationships in early childhood, Stereotyped movements, Poor speech, Lack of social interaction,